Voice produced by false vocal cord due to non functioning of true cords is seen in
1. Spasmodic dysphonia
2. Dysphonia plica ventricularis
3. Puberophonia
4. Habitual dysphonia

Correct answer: 2. Dysphonia plica ventricularis